Which one of the following is a prodrug?
1. Dopamine
2. Enalapril
3. Ampicillin
4. Prednisolone

Correct answer: 2. Enalapril

Explanation: Few drugs are inactive as such and need conversion in the body to one or more active metabolites. Such a drug is called a prodrug Enalapril is converted to Enalaprilat (active form) so its a prodrug Prednisolone, Dopamine ,Ampicillin are present in active form Ref-KD Tripathi Pharmacology 7th edition(page no;22)